Serum sickness is which type of hypersensitivity reaction:
1. Type I
2. Type II
3. Type III
4. Type IV

Correct answer: 3. Type III

Explanation: Ans. C: Type III Serum sickness is a systemic form of type III hypersensitivity